Proton punip inhibitors for peptic ulcer disease should he taken:
1. Before Breakfast
2. After Breakfast
3. Before Dinner
4. After Dinner

Correct answer: 1. Before Breakfast

Explanation: Ref: Basic and clinical Pharmacology by Bet ram Katzung, 12th edition Pg No 1087Explanation:For ideal action of proton pump inhibitor, an acidic pH in the parietal cell canaliculi is prerequisite because the drug is activated in this acidic pH.Hence it should be taken at least 30 minutes before mealsIt is preferably administered before breakfast so that peak serum concentration coincides with maximum activity of proton pump secretion